Which of the following is false regarding Primary Sclerosing cholangitis?
1. Show beaded appearance of biliary tree
2. CBD is almost always involved
3. More common in females
4. Caudate lobe goes for hypertrophy

Correct answer: 3. More common in females

Explanation: Ans CPSC-young to middle-aged male are most frequently affected. Cholangiographic findings in PSC depend on the stage of the disease process. Early in the course of the disease, randomly distributed, short (1-2 mm), annular intrahepatic strictures alternating with normal or slightly dilated segments produce a beaded appearance. Strictures usually occuratthe bifurcation of ducts and are out of proportion to upstream ductal dilatation. As the fibrotic process worsens, strictures increase and the ducts become obliterated, and the peripheral ducts cannot be visualized to the periphery of the liver, producing a "pruned tree" appearance. The key features of PSC are randomly distributed annular strictures out of proportion to upstream dilatation. Other findings include webs, diverticula, and stones. End result is cirrhosis characterized by a markedly distorted biliary tract with atrophy of the entire liver with the exception of the caudate lobe which is hypertrophied in almost all cases. Atrophy involving the left lobe is a feature which somewhat distinguishes it from cirrhosis from other causes, in which the left lobe is usually hypertrophied